Steeple sign is seen in:
1. Croup
2. Acute epiglottitis
3. Laryngomalacia
4. Quinsy

Correct answer: 1. Croup

Explanation: In radiology, the steeple sign is a radiologic sign found on a frontal neck radiograph where subglottic tracheal narrowing produces the shape of a church steeple within the trachea itself. The presence of the steeple sign supports a diagnosis of croup, usually caused by paramyxoviruses.